The abduction contracture at the hip joint is evaluated clinically by the:
1. Thomas test
2. Gerhardt's test
3. Ober's test
4. Ely's test

Correct answer: 3. Ober's test

Explanation: Ans. C. Ober's testa. Ober's test determines the tightness of the fascia lata or in other words is used to determine abduction contracture of the hip. This is performed by placing the patient on the unaffected side, flexing the hip (affected) then widely abducting and extending the hip and finally allowing the thigh to drop towards the adducted position.b. When the tensor is tight, the thigh will be sustained momentarily in the abducted position before falling towards the table.